Net filtration pressure is
1. 32 mm Hg
2. 10 mm Hg
3. 60 mm Hg
4. 20 mm Hg

Correct answer: 2. 10 mm Hg

Explanation: The Net Filtration Pressure (NFP) at the glomerulus is the difference between the net hydrostatic pressure and the blood colloid osmotic pressure acting across the glomerular capillaries and is normally 10mm of Hg. Ref: guyton and hall textbook of medical physiology 12 edition page number: 464,465,466